Which of the following when absent would impair the rate-limiting step of glycogenolysis?
1. 1,4-Glucoronosyl troanterase
2. Glycogen synthetase
3. Glycogen phosphorylase
4. Phosphoglucomutase

Correct answer: 3. Glycogen phosphorylase

Explanation: The key enzyme for glycogenolysis is glycogen phosphorylase.Glycogen phosphorylase removes glucose as glucose-1- phosphate from glycogen.Alpha-1,4- glycosidic linkage in glycogen are cleaved.Ref: DM Vasudevan, 7th edition, page no: 124